Distinct amino acid sequence at the antigen combining site is called:
1. Idiotype
2. Allotype
3. Epitope
4. Paratope

Correct answer: 1. Idiotype

Explanation: Ans. (a)Idiotype is based on antigenic difference in the hypervariable region.Allotype is based on alleleic difference in immunoglobulins e.g., Gm type.Isotype is antigenic differences in constant regions of heavy chain decide isotypes.